Psammoma bodies show which type of calcification
1. A. Metastatic
2. B. Dystrophic
3. C. Macrophages
4. D. Plasma cells

Correct answer: 2. B. Dystrophic

Explanation: Refer ribbons 8/e p38, 9e p65